Gluconeogenesis from lactate needs all except
1. Transport of lactate from muscle to liver
2. Conversion of lactate to pyruvate
3. Transamination of pyruvate to alanine
4. None of the above

Correct answer: 3. Transamination of pyruvate to alanine

Explanation: The lactate formed in the muscle is transported to the liver. In the liver cell lactate dehydrogenase converts lactate to pyruvate (Fig. 9.28). The pyruvate enters the gluconeogenic pathway to form glucose.Ref: DM Vasudevan, 7th edition, page no: 119